Trapezoid body is seen in
1. Lateral lemniscus pathway
2. Medial lemniscus pathway
3. Visual pathway
4. None

Correct answer: 1. Lateral lemniscus pathway

Explanation: The lateral lemniscus is a part of the auditory pathway It is formed by fibers arising in nuclei lying in close relation to the trapezoid body Ref.BDC volume3,sixth edition pg 394